Woodruff's plexus is located at
1. Anterosuperior part of nose
2. Anteroinferior part of nose
3. Posteroinferior part of nose
4. Posterosuperior part of nose

Correct answer: 3. Posteroinferior part of nose

Explanation: ORT Woodruff's plexus (also called nasopharyngeal plexus) is a confluence of vessels on the lateral wall of nose and is often implicated in 'posterior' bleeds. ORT It is a venous plexus situated posterior to posterior end of Middle and inferior turbinate. In recent histological studies it is found to consist of thin walled vessels with very little muscle or fibrous tissue. ORT It is the most common site of posterior epistaxis in adults. A more recent study with endoscopic photography and anatomical micro-dissectionconfirmed that the plexus does indeed exist but showedit to be a venous plexus.